Preaxial border of limb is ?
1. Ulnar border of forearm
2. Fibular border of leg
3. Radial border of forearm
4. None of the above

Correct answer: 3. Radial border of forearm

Explanation: Ans. is 'c' i.e., Radial border of forearm Preaxial part is derived from anterior segments of limb bud and postaxial part is derived from posterior segments of limb bud.Upper limbPreaxial border : Lateral epicondyle of humerus radius, thumb Postaxial border : Medial epicondyle of humerus, ulna, little fingerLower limbPreaxial border : Medial epicondyle of femur, tibia, great toe Postaxial border : Lateral epicndyle of femur, fibula, little toe